In a patient of primary hypothyroidism, the hormonal profile will read -
1. Low T3, low T4, low TSH
2. Low T3, low T4 high TSH
3. High T3, high T4, high TSH
4. LowT3, low T4, normal TSH

Correct answer: 2. Low T3, low T4 high TSH

Explanation: Ref - semantischolar.org